MOST COMMON form of hereditary neuropathy is:
1. Charcot-Marie-Tooth 1
2. Charcot-Marie-Tooth 2
3. Charcot-Marie-Tooth 3
4. Charcot-Marie-Tooth 4

Correct answer: 1. Charcot-Marie-Tooth 1

Explanation: Most common form of hereditary neuropathy is Charcot Marie-Tooth disease -1 Affected individuals usually present with distal leg weakness . Generally there are no sensory symptoms in this disorder. Deep tendon reflexes unobtainable or reduced throughout. ALSO KNOW: Inverted champagne bottle legs is seen due to atrophy of the muscles of lower limb below the knee joint. Ref: Harrison, Edition-18, Page-3454